Carcinoid tumour is most common in
1. Esophagus
2. Stomach
3. Jejunum
4. Appendix

Correct answer: 4. Appendix

Explanation: Answer is D (Appendix); Antong, the given option the most common site of carcinoid tumour is appendix. Carcinoid tumor location, Frequency of Metastases, and Association with the Carcinoid Syndrome Site Location (% of Total) Incidence of Metastases Incidence of Carcinoid Syndrome Foregut Esophagus <0.1 - - Stomach 4.6 10 9.5 Duodenum 2.0 - 3.4 Pancreas 0.7 71.9 20 Gallbladder 0.3 17.8 5 Bronchus, lung, trachea 27.9 5.7 13 Midgut Jejunum Ileum 1.8 14.9 158.4 9 9 Meckel's diverticulum 0.5 13 Appendix Colon Liver Ovary Testis Hindgut 4.8 8.6 0.4 1.0 <0.1 38.8 51 32.2 32 - <1 5 - 50 50 Rectum 13.6 3.9 -